Cidofovir can be used for :
1. Respiratory papillomatosis
2. Herpes simplex
3. CMV
4. All of the above

Correct answer: 4. All of the above